Probenecid interacts with :
1. Streptomycin
2. Ampicillin
3. Vancomycin
4. Erythromycin

Correct answer: 2. Ampicillin